'Disability Limitation' is mode of intervention for:
1. Primordial Prevention
2. Primary Prevention
3. Secondary Prevention
4. Tertiary Prevention

Correct answer: 4. Tertiary Prevention

Explanation: Ans. (d) Tertiary PreventionLevels of preventionModes of interventionPrimary LevelHealth Promotion and Specific ProtectionSecondary LevelEarly Diagnosis and TreatmentTertiary LevelDisability Limitation and Rehabilitation